Treatment of choice for Kawasaki Disease is:
1. IV Immunoglobulins
2. Steroids
3. Dapsone
4. Methotrexate

Correct answer: 1. IV Immunoglobulins

Explanation: Recommended guideline for the management of Kawasaki disease in the UK # Establish diagnosis (1) Complete Kawasaki disease (any age) (2) Incomplete Kawasaki (<1 year) # Treatment IVIG 2 g/kg as a single infusion over 12 hours Aspirin 30-50 mg/kg/day in 4 divided doses for 2 weeks (7.5 -- 12.5 mg/kg QDS) Echocardiography and ECG Aspirin 2-5 mg/kg/day when fever settled (disease defervescence) continuing for a minimum of 6 weeks The treatment of choice in Kawasaki disease is intravenous immunglobulins REF: Harrison book of internal medicine 21ST EDITION